What is Kienboch's disease -
1. Osteochondritis of lunate
2. Osteochondritis of neck of femur
3. Osteochondritis of navicular
4. Osteochondritis of tibial condyle

Correct answer: 1. Osteochondritis of lunate